TNF (alpha inhibitors) used in rheumatoid arthritis is
1. Infliximab
2. Rituximab
3. D-penicillamine
4. Cycloserine

Correct answer: 1. Infliximab

Explanation: (Infliximab): (2/2- 683- 84 - KDT 7t)INFLIXIMAB - is a chimeral monoclonal antibody which binds and neutralizes TNF-alpha* TNF-alpha inhibitors mainly suppress macrophage and T-cell function; inflammatory changes in the joint regress and new erosions are slowed* Quicker response than non biologic DMARDs* Generally added to methotrexate* Susceptibility to opportunistic infection, including tuberculosis and pneumocystis pneumonia is increasedDisease modifying antirheumatic drugs (DMARDs)A. Nonbiological drugsB, Biological drugs1. Immunosuppressants - Methotrexate, Azathioprine, cyclosporine1TNF alpha inhibitors - Etanercept, Infliximab, Adalimumab2. Sulfasalazine 3. Chloroquine or Hydroxychloroquine2. IL-1 antagonist:- Anakinra4. Leflunomide Gold and penicillamine are obsolete DMARDs